Omalizumab is used for
1. Ulcerative colitis
2. Crohn disease
3. Asthma
4. Psoriatic arthritis

Correct answer: 3. Asthma

Explanation: Ans. (c) Asthma